The maximum safe dose of bupivacaine is
1. 1 mg/kg
2. 2 mg/kg
3. 3 mg/kg
4. 5 mg/kg

Correct answer: 2. 2 mg/kg

Explanation: Maximum safe dose of bupivacaine is 2 mg/kg with or without adrenaline